Risk factors of pull!' embolism -
1. 30 yrs female of OCPs
2. Pregnancy
3. Behcet's disease
4. All of the above

Correct answer: 4. All of the above